The poly-acid modified composite are known as
1. Compomers
2. Hybrid Ionomers
3. Poly Carboxylates
4. Poly acrylates

Correct answer: 1. Compomers